Negri bodies are seen in infections due to
1. Poliovirus
2. Rabies virus
3. Herpes virus
4. Adenovirus

Correct answer: 2. Rabies virus

Explanation: (B) Rabies virus # Negri Bodies:> Most characteristic pathologic finding of rabies in the CNS is the formation of cytoplasmic inclusions called Negri bodies within neurons.> Each eosinophilic mass measures 10 mm and is made up of a finely fibrillar matrix and rabies virus particles.> Negri bodies are distributed throughout the brain, particularly in Ammon's horn, the cerebral cortex, the brainstem, the hypothalamus, the Purkinje cells of the cerebellum, and the dorsal spinal ganglia.> Negri bodies are not demonstrated in at least 20% of cases of rabies, and their absence from brain material does not rule out the diagnosis.